In chlorination of water, the main disinfecting action is due to:-
1. Hydrogen ions
2. Hydrochloric acid
3. Hypochlorous acid
4. Chloride ions

Correct answer: 3. Hypochlorous acid

Explanation: Chlorination of water: - Used for large scale purification of water & for drinking water. Disinfection action of chlorine in water is due to: Hypochlorous acid - major role in disinfection (HOCl). Hypochlorite ions - minor role in disinfection. Chloride has residual germicidal effect. It kills bacteria, many viruses but not spores . It oxidizes iron, manganese & hydrogen sulphide. It also destroys taste & odorproducing components. Chlorine acts best as a disinfection for water at: pH around 7.0